Swan-Ganz catheter is used to measure -
1. Right artial flow
2. Pulmonary capillary pressure
3. Central venous pressure
4. Right ventricular pressure

Correct answer: 2. Pulmonary capillary pressure